Most ideally elastic among the following
1. Polyether
2. Addition silicone
3. Polysulphide
4. Condensation silicone

Correct answer: 2. Addition silicone